Term 'schizophrenia' was coined by:
1. Eugene Bleuler
2. Kraepelin
3. Freud
4. Schneider

Correct answer: 1. Eugene Bleuler

Explanation: Ans. Eugene Bleuler